Perlecan is a:
1. Sacolemmal protein
2. Proteoglycan
3. Glycoprotein
4. Integral protein

Correct answer: 2. Proteoglycan

Explanation: Perlecan is a multidomain heparan sulfate proteoglycan synthesized by both vascular endothelium and smooth muscle cells deposited in ECM extracellular matrix. Perlecan is a potent inhibitor of smooth muscle cell proliferation and is thus thought to help maintain vascular homeostasis. Perlecan can also promote growth factor (fibroblast growth factor 2) activity and thus stimulate endothelial growth and re-generation. Ref: Textbook of Aging Skin by Miranda A. Farage, Kenneth W. Miller, Howard I. Maibach, Page 116